Which of the following features defines toddler fracture
1. Subluxation of the radial head
2. Salter Harris type 3 fracture of the distal fibular epiphysis
3. Fracture of the distal radius
4. Spiral fracture of the tibia

Correct answer: 4. Spiral fracture of the tibia

Explanation: Toddler fractures occur in young ambulatory children (from 9 months to 3 years). A toddler's fracture is a spiral or oblique undisplaced fracture of the distal shaft of the tibia with an intact fibula. The periosteum remains intact and the bone is stable. These fractures occur as a result of a twisting injury. Reference: GHAI Essential pediatrics, 8th edition